Which of the following is an inducer of microsomal enzymes:
1. Phenobarbitone
2. Paracetamol
3. Digoxin
4. Penicillin

Correct answer: 1. Phenobarbitone